True about clostridium difficile is:
1. Gram negative
2. Obligatory aerobic
3. Spore forming cocci
4. None of the above is true

Correct answer: 4. None of the above is true

Explanation: C. difficile: 1. Gram positive 2. Obligately anaerobic 3. Spore-forming bacillus (spores are found widely in nature)